All of the following are the causes of sudden increase in pain in osteochondroma, except:
1. Sarcomatous change
2. Fracture
3. Bursitis
4. Degenerative changes

Correct answer: 4. Degenerative changes

Explanation: Ans. D. Degenerative changesa. Osteochondroma is usually painless. Sudden onset of pain in osteochondroma can be due to:b. Malignant transformationc. Bursitisd. Fracturee. Pressure or traction on neighboring structures (nerve/tendon/muscle)